True about imipenem is :
1. It is narrow spectrum antibiotic
2. It is easily broken by beta lactamases
3. It should be used with cilastatin
4. It is used with sulbactam

Correct answer: 3. It should be used with cilastatin